Gettlers test is for
1. Hanging
2. Strangulation
3. Burns
4. Drowning

Correct answer: 4. Drowning

Explanation: Ans. is 'd' i.e., Drowning Gettler test Gettler test is done for drowning. It estimates chloride content of blood from both sides of heart. Normally the chloride content is equal in the right and left chambers of the heart (600 mg/100 ml). In fresh water drowning due to hemodilution the chloride content is decreased and in salt water drowning due to hemoconcentration the chloride content is increased in left side of heart. A 25% difference in chloride is significant but the test is of doubtful value. Limitations of gettler test:? 1. No value in atypical drowning; congenital cardiac defects as shunts and patent foramen ovale; and if drowning medium contains same amount of chloride. 2. There is progressive loss of Cl- from blood after death. Therefore the test has to be made within a reasonably short time after death